An 8-year old child has end-on-end molar occlusion. The clinician should:
1. Observe and wait for the other permanent teeth to erupt
2. Do the distal disking of 2nd primary molar
3. Extract the 1st primary molars
4. Serial extraction

Correct answer: 1. Observe and wait for the other permanent teeth to erupt